Which of the following statements regarding acarbose is FALSE?
1. It acts by inhibiting the enzyme alpha-glucosidase
2. It reduces both pre and post-prandial hyperglycemia
3. It decreases the progression of impaired glucose tolerance to overt diabetes mellitus
4. It reduces fibrinogen level

Correct answer: 2. It reduces both pre and post-prandial hyperglycemia

Explanation: Acarbose is an alpha-glucosidase inhibitor. alpha-Glucosidase inhibitors reduce intestinal absorption of starch, dextrin, and disaccharides by inhibiting the action of alpha-glucosidase in the intestinal brush border. Inhibition of this enzyme slows the absorption of carbohydrates from the GI tract and blunts the rate of rise of postprandial plasma glucose. These drugs also increase the release of the glucoregulatory hormone GLP-1 into the circulation, which may contribute to their glucose-lowering effects. Alpha-Glucosidase inhibitors have been demonstrated to reduce the progression from impaired glucose tolerance to type 2 diabetes. The most prominent adverse effects related to alpha-glucosidase inhibitors are malabsorption, flatulence, diarrhea, and abdominal bloating. In some studies acarbose has shown to reduce fibrinogen levels: Acarbose improves fibrinolytic activity in patients with impaired glucose tolerance. Acarbose decreases plasma level of plasminogen activator inhibitor and fibrinogen. Ref: Powers A.C., D'Alessio D. (2011). Chapter 43. Endocrine Pancreas and Pharmacotherapy of Diabetes Mellitus and Hypoglycemia. In L.L. Brunton, B.A. Chabner, B.C. Knollmann (Eds), Goodman & Gilman's The Pharmacological Basis of Therapeutics, 12e.